All of the following are risk factors for bacterial vaginosis except:
1. Oral sex
2. Cigarette smoking
3. Sex during menses
4. Use of condoms during sex

Correct answer: 4. Use of condoms during sex

Explanation: Ans. is d, i.e. Use of condoms during sexRef: Williams Gynae 3rd/ed, p51Risk factors For Bacterial vaginosis* Oral sex* Douching* Black race* Cigarette smoking* Sex during menses* Intrauterine device* Early age of sexual intercourse* New or multiple sex partners* Sexual activity with other women